A total of 3500 patient with thyroid cancer are identified and surveyed by patient interviews with reference to past exposure to radiation. The study design most appropriately illustrates -
1. Case series report
2. Case control study
3. Case report
4. Clinical trial

Correct answer: 1. Case series report